Slipped capital femoral epiphysis is seen most commonly in which age group -
1. Infants
2. Adolescents
3. Old age
4. Childhood

Correct answer: 2. Adolescents

Explanation: Slipped capital femoral epiphysis (SCFE) occurs during adolescent rapid growth period when epiphysis plate is weak & the capital epiphysis is displaced down & back. * Etiology : age - 10-17years of age Sex- male : female - 5:2 Location: left hip is involved in 58% of the cases *stages 1. Preslipping stage 2.chronic slipping stage 3.stage of fixed deformity *Radiographic changes - *early change : marginal blurring of the proximal metaphysis , lower margin of metaphysis is included within the acetabulum normally but excluded in the early epiphyseal slip, Trethovan 's line : line drawn along the superior margin of the neck , transects the epiphysis normally , but will be above it in slip, depth of epiphysis is reduced , there is a step between metaphysis & epiphysis. *Late changes : trethovan's sign is present , head is atrophic , neck shaft angle is less than 90 degree , new bone formation is seen at the anterior superior part of neck , joint space is clear , shenton's line is broken. * CT scan is very useful in assessing degree of slips. Classification of slipping - mild(51%), moderate(22%), severe slipping (17%) REF:Essential orthopedics, John Ebenezer, 4th edition, pg.no.416